Selective alpha-2 antagonist
1. Prazosin
2. Yohimbine
3. Tamsulosin
4. Phentolamine

Correct answer: 2. Yohimbine